All the following reflexes are present at birth except _______
1. Rooting reflex
2. Symmetrical tonic neck reflex
3. Asymmetrical neck reflex
4. Crosses extensor reflex

Correct answer: 2. Symmetrical tonic neck reflex

Explanation: The symmetrical tonic neck reflex is a primitive reflex that normally emerges during the first year of an infant's life and is diminished by the age of 9-10 months. It is uncommon at birth. If at all present, may be a defect of cerebral palsy Reference: GHAI Essential pediatrics, 8th edition